Corticosteroids cause all except
1. Muscular hypertrophy
2. Peptic ulcaeration
3. Psychosis
4. Suppression of Pituatory adrenal axis

Correct answer: 1. Muscular hypertrophy

Explanation: Refer KDT 6/e p 286 Muscle weakness occurs in both hypo or hypercorticism